Pasteurized milk is most commonly tested by
1. Phosphatase test
2. Standard plate count
3. Coliform Count
4. Holder method

Correct answer: 1. Phosphatase test

Explanation: Phosphatase test - widely used test.